Root value of femoral nerve?
1. Dorsal divisions of ventral primary rami of lumbar 2, 3, 4
2. Ventral divisions of ventral primary rami of lumbar 2, 3, 4
3. Ventral divisions of dorsal primary rami of lumbar 2, 3, 4
4. Dorsal divisions of dorsal primary rami of lumbar 2, 3, 4

Correct answer: 1. Dorsal divisions of ventral primary rami of lumbar 2, 3, 4

Explanation: Root value of Femoral nerve: Dorsal divisions of ventral primary rami of lumbar 2, 3, 4 segments of spinal cord.Ref: Chaurasia; Volume 2; 6th edition; Page no: 62